S1 nerve root irritation causes pain along the
1. Anterior aspect of thigh
2. Medial aspect of thigh
3. Lateral aspect of foot
4. Anteromedial aspect of leg

Correct answer: 3. Lateral aspect of foot

Explanation: Sural nerve supplies the skin over the little toe and lateral aspect of the foot, with dermatome S1. Ref: Gray's Anatomy The Anatomical Basics of Clinical Practice 41 e pg 1324.